In spinal anaesthesia the drug is deposited between?
1. Dura and arachnoid
2. Pia and arachnoid
3. Dura and vertebra
4. Into the cord substance

Correct answer: 2. Pia and arachnoid

Explanation: Ans. is 'b' i.e., Pia and arachnoid matter o In spinal anaesthesia LA is injected into subarachnoid space (space between pia matter and arachnoid matter). o Structure pierced during SA (from outside in) - Skin - Subcutaneous tissue --> Supraspinous & intraspinous ligament --> Ligamentum falvum --> Duramater - Arachnoidmater.